True about small cell lung cancer
1. Bone marrow is uncommonly involved
2. Destruction of alveolar cells
3. Peripheral in location
4. All

Correct answer: 2. Destruction of alveolar cells

Explanation: Small cell carcinoma is central or hilar in location .It is a highly malignant tumour characterised by the destruction of peribronchial tissue and alveoli.By hematogenous route,distant metastasis is very common to bone,brain,opposite lungs,liver,kidney,adrenals Ref Davidson edition23rd pg 614